At what angle is the hallpike thermal caloric test done?
1. 15deg
2. 30deg
3. 45deg
4. 60deg

Correct answer: 2. 30deg

Explanation: In the Hallpike test, the head is tilted 30deg forward so that horizontal canal is vertical. (Ref: Diseases of EAR, NOSE, THROAT by PL DHINGRA; 6th Edition; Page no. 43)